In muscle contraction all are true except
1. A bond remains unchanged
2. H zone disappears
3. I band becomes wider
4. Two Z line come closer

Correct answer: 3. I band becomes wider

Explanation: Ans. (c) I band becomes wider(Ref: Ganong, 25th ed/p.100)When muscle contracts,#Z lines come closer#Length of H and I band decrease#Length of A band remains constant